TRUE statement about penicillin G is:
1. It is administered orally
2. It has a wide spectrum
3. It can be used for rat bite fever
4. Co-administration of probenecid decreases its duration of action

Correct answer: 3. It can be used for rat bite fever

Explanation: Ans. (C) It can be used for rat bite fever(Ref: KDT 8th/e p768-770)Penicillin GIt is acid labile, thus not effective orally.Penicillin G has short duration of action. Probenecid inhibits tubular secretion and prolongs its duration of action.It has narrow antibacterial spectrum, mainly for gram positive bacteria.Penicillin G is drug of choice for infections caused by Treponema like syphilis (T. pallidum) and Rat bite fever (Spirillum minus).